A six year old child is posted for elective urology surgery under general anaesthesia. He refuses to allow the anaesthesiologist an I.V. access. The best inhalational agent of choice for induction of anaesthesia is –
1. Sevoflurane
2. Methoxyflurane
3. Desflurane
4. Isoflurane

Correct answer: 1. Sevoflurane

Explanation: Unlike desflurane, sevoflurane poses no problem in induction, acceptability is good even in pediatric patients.
Therefore, sevoflurane is the inhalational agent of choice for induction.